Downey cell is seen in -
1. Myeloma
2. Chronic myeloid leukemia
3. Hairy cell leukemia
4. Infectious mononucleosis

Correct answer: 4. Infectious mononucleosis